Congenital heart disease is most likely in the newborn of mothers suffering from all except
1. Systemic lupus erythematosus
2. Rheumatoid arthritis
3. Diabetes in pregnancy
4. Congenital heart disease of the mother

Correct answer: 2. Rheumatoid arthritis

Explanation: Effects of SLE on pregnancy : Risks of lupus rash,anemia, leukopenia, thromboctopenia and renal failure are increased. They are increased risks of First trimester miscarriage,lupus nephritis, reccurent DVT,PIH, Prematurity,IUGR and stillbirths. Neonatal lupus syndrome is due to crossing of maternal lupus antibodies(anti-RO or anti-La) to the fetus causing Hemolytic anemia,leukemia and thrombocytopenia. Isolated congenital heart block is pesent in about one-third of cases. Effect of Diabetes on pregnancy: Congenital Malformation (6-10%) is related to the severity of diabetes affeting organogenesis, in the firs trimester(both type 1 and tye 2) Effects of Congenital heart disease of mother on Pregnancy Likely to cause heart disease in newborn accounts for 3-13% Reference DC.Duttas textook of OBG ,9th edition